All are true regarding amantadine and rimantadine except :
1. Rimantadine is 4-10 times more active than amantadine
2. Combination of amantadine and rimantadine are effective on Influenza B also
3. Both act by inhibiting an early step in viral replication
4. They are effective against influenza A H1N1 in if treatment is initiated within 2 days of the onset of symptoms

Correct answer: 2. Combination of amantadine and rimantadine are effective on Influenza B also

Explanation: Amantadine and rimantadine As antiviral against influenza A: Mechanisms of action Inhibit an early step in viral replication(viral uncoating) strains At late step it alters hemagglutinin processing Main action is on M2 protein- Drugs inhibit the acid-mediate dissociation of the ribonucleoprotein complex early in replication and potentiate acidic pH-induced conformational changes in the hemagglutinin during its intracellular transport later in replication NOTE: Rimantadine is 4-10 times more active than amantadine Amantadines are effective against influenza A H1N1 in adults and children if treatment is initiated within 2 days of the onset of symptoms Both drugs are useful for the prevention and treatment of infections caused by influenza A virus (not influenza B) Virtually all H3N2 strains of influenza circulating worldwide are resistant to these drugs Resistance to these drugs results from a mutation in the RNA sequence encoding for the M2 protein transmembrane domain